Which one of the following provides hemodynamic stability and prolonged survival in congestive heart failure
1. Lisinopril
2. Furosemide
3. Digoxin
4. Milrinone

Correct answer: 1. Lisinopril

Explanation: Ref-KDT 6/e p486 Lisinopril is a medication of the angiotensin-converting enzyme inhibitor class used to treat high blood pressure, heart failure, and after heart attacks. For high blood pressure it is usually a first line treatment, although in black people calcium-channel blockers or thiazide diuretics work better.